Copper deficiency is characterized by -a) Cardiomyopathyb) Anaemiac) Osteopeniad) Growth retardation
1. bcd
2. acd
3. ac
4. bd

Correct answer: 1. bcd